Products of Phospholipase C are -
1. Inositol and diacylglycerol
2. Inositol triphosphate and Diacylglycerol
3. Lysophospholipid and fattyacid
4. Phosphatidate and IP2

Correct answer: 2. Inositol triphosphate and Diacylglycerol

Explanation: Ans. is 'b' i.e., Inositol triphosphate and Diacylglycerol* IP3 or Inositol triphosphate and DAG or Diacylglycerol are second messengers formed from Phosphatidyl inositol diphosphate (PIP2) by the action of Phospholipase C* Has been explained in NEET Dec-16